Mondors disease is
1. Lymphadema
2. Thrombophlebitis of breast
3. Retraction of nipple
4. Congenital disease

Correct answer: 2. Thrombophlebitis of breast

Explanation: Mondor's disease is thrombophlebitis of superficial veins of the breast and anterior chest wall. The pathogonomic feature is the thrombosed subcutaneous cord,usually attached to skin.Thevtreatment is restricted arm movements ,and in any case the condition subsides withina few months without recurrence,complications or deformity. Bailey and Love'sSho practice of surgery.Edition 23.Pg no:756